Digitalis toxicity can cause
1. Hyperkalemia
2. Nausea
3. Arrythymias
4. All the above

Correct answer: 4. All the above

Explanation: Digitalis toxicity (DT) occurs when you take too much digitalis (also known as digoxin or digitoxin), a medication used to treat heart conditions. Signs of toxicity include nausea, vomiting, and an irregular heartbeat Refer kDT 6/e p498